The main source for pulmonary embolism:
1. Haemorrhoids
2. Deep Leg vein
3. Portal vein
4. None of the above

Correct answer: 2. Deep Leg vein